Targeted intervention for HIV is done for all except:
1. Commercial sex worker
2. Migrant laborers
3. Street children
4. Industrial worker

Correct answer: 4. Industrial worker

Explanation: Industrial worker Targeted interventions Targeted intervention is, one of the most important components of the National AIDS Control Programme. The basic purpose of the Targeted Intervention programme is to reduce the rate of transmission among the high-risk behaviour practising population such as - sex workers, - intravenous drug users, - men having sex with men, - truckers, - migrant laborers and - street children. One of the ways of controlling the disease from further spread is to carry out direct intervention programme among these groups through multi-pronged strategies, beginning from behaviour change, communications, counselling, providing health care support, treatment for STDs and creating an enabling environment that will facilitate behaviour change. In order to plan for implementation of this programme, NACO (National AIDS control organization) has evolved the following strategy. Decentralization of implementation to the State AIDS Control Society. Transparent and streamlined procedures for selection of NGOs. Capacity building of SACS (State AIDS Control Societies) and NGOs for implementing and monitoring targeted intervention projects. The State AIDS Control Societies (SACS) are fully empowered to provide funding support to the NGOs for Targeted Interventions. Every State AIDS Society has appointed an NGO Advisor, who is a professional in the field of social work, to manage and guide the Targeted Intervention Programme.